Isovolumetric relaxation phase of the cardiac cycle ends with
1. Peak of C waves
2. Opening of AV valve
3. Closure of semilunar valve
4. Beginning of T waves

Correct answer: 2. Opening of AV valve